All are cluster A personality disorders except ?
1. Paranoid
2. Borderline
3. Schizoid
4. Schizotypal

Correct answer: 2. Borderline

Explanation: Ans. is 'b' i.e., Borderline Personality disorders Clustor A : Paranoid, Schizoid, Schizotypal. Clustor B : Antisocial (Dissocial), Histrionic, Narcissistic, Borderline. Clustor C : Anxious (avoidant), Dependent, obsessive - compulsive (anankastic).